Which is the marker enzyme for Endoplasmic reticulum?
1. ATP synthase
2. 5' nucleotidase
3. Catalase
4. Glucose-6-phosphatase

Correct answer: 4. Glucose-6-phosphatase

Explanation: ATP synthase is marker enzyme for mitochondria.
5' nucleotidase is marker enzyme for plasma membrane.
Catalase and urate oxidase is marker enzyme for peroxidase.
Glucose-6-phosphatase is marker enzyme for Endoplasmic reticulum.